Drug of choice for managing asthmatic patient with hypertension:
1. Timolol
2. Propranolol
3. Metoprolol
4. Amlodipine

Correct answer: 4. Amlodipine

Explanation: Ans. D: Amlodipine The management of hypertension in a patient with asthma or chronic obstructive pulmonary disease (COPD) may be made difficult by the asthma-inducing effect of some antihypertensives. As an example, beta blockers should be used with great caution or not at all in patients with chronic asthma (including chronic obstructive pulmonary disease) or acute allergic or exercise-induced bronchospasm. Calcium channel blockers are suitable as first line antihypertensive agent for: Asthma/ COPD patients. Recurrent stroke prevention Elderly with poor arterial wall compliance Isolated systolic hypertension Raynaud's/PVD patients Pregnant hypertensives Diabetes